Folic acid supplementation reduces the risk of :
1. Neural tube defect
2. Toxaemia of pregnancy
3. Down's syndrome
4. Placenta previa

Correct answer: 1. Neural tube defect

Explanation: Ans. is a i.e. Neural tube defect